Drug of choice in an elderly with depression and coronary artery disease is -
1. Fluoxetine
2. Dothiepin
3. Mianserin
4. Amoxapine

Correct answer: 1. Fluoxetine

Explanation: Ans. is 'a' i.e., Fluoxetine